Which of the following exposure carries the maximum risk of transmisstion of HIV -
1. Sexual intercourse
2. Blood transfusion
3. Trans-placental
4. Needle prick

Correct answer: 2. Blood transfusion